'Tram-track calcification' in the brain is seen in:
1. Sturge-Weber syndrome
2. Toxoplasmosis
3. Tuberous sclerosis
4. Syphilis

Correct answer: 1. Sturge-Weber syndrome

Explanation: Ans. Sturge-Weber syndrome